Dohle bodies can be seen in which of the following?
1. Plasma cell myeloma
2. Sepsis
3. Chronic granulomatous disease
4. Rheumatoid arthritis

Correct answer: 2. Sepsis

Explanation: In sepsis or severe inflammatory disorders (e.g., Kawasaki disease), leukocytosis is often accompanied by morphologic changes in neutrophils, such as toxic granulations, Dohle bodies, and cytoplasmic vacuoles Toxic granules are coarser and darker than normal neutrophilic granules, represent abnormal azurophilic (primary) granules Dohle bodies are patches of dilated endoplasmic reticulum that appear as sky-blue cytoplasmic "puddles."